A 69-year-old woman presents with left flank pain and hematuria. Physical examination suggests a left-sided abdominal mass. Computerized tomography (CT) scan of the abdomen reveals a 5-cm mass in the left kidney. Which of the following laboratory abnormalities might also be present?
1. polycythemia
2. thrombocytopenia
3. hypocalcemia
4. leukocytosis

Correct answer: 1. polycythemia

Explanation: (a) Source: (Kasper, pp. 541-542)This patient likely has hypernephroma (renal cell carcinoma). Polycythemia is caused by the production of erythropoietin-like factors. There is no relationship to hypertension. The tumor frequently presents as metastatic disease.